Feature of scurvy in children include:
1. Bleeding gums
2. Tibial edema
3. Costochondral junctions become angular
4. All of the above

Correct answer: 4. All of the above

Explanation: Ans. D. All of the aboveThere may be extreme pain and tenderness in extremities which affected children keeping their limbs in frog legged position, The body is both wasted and edematous, and petechiae and ecchymoses are commonly present. Hyperkeratosis, corkscrew hair, and sicca syndrome are known. Ocular features include those of Sjogren syndrome, subconjunctival hemorrhage, and bleeding within the optic nerve sheath. Perifollicular hyperkeratotic papules, perifollicular hemorrhages, purpura, and ecchymoses are seen most commonly on the legs and buttocks.